Diatoms in bone marrow of long bones are suggestive of death due to:
1. Burns
2. Hanging
3. Drowning
4. Firearm injuries

Correct answer: 3. Drowning

Explanation: Ans: C i.e. Drowning Mode of death and findings Post-mortem findings of burns include heat hematoma (charring of skull), thermal fractures of the skull, pugilistic attitude, blisters, heat ruptures etc The ligature mark in the neck is the most important and specific sign of death from hanging The finding of similar diatoms in the water and in the body tissues is in favour of drowning - The drowning fluid and the particles in it, e.g. diatoms and planktons, pass from the ruptured alveolar walls into the lymph channels and pulmonary veins and thus enter the left heart. - Only a live body with circulation could transport diatoms from the lungs to the brain, bone marrow, liver and other viscera, and skeletal muscle.